28 year old primigravida gave birth to a male child which presented with midline dimple and tuft of hair in the lower back, which vitamin supplementation could have possibly prevented this if if was due to nutritional deficiency in the mother
1. Vitamin B9
2. Vitamin B6
3. Vitamin B12
4. Vitamin B3

Correct answer: 1. Vitamin B9

Explanation: The child has presented with spina bifida occulta.
Vitamin B9 (folic acid) deficiency in pregnant female can cause neural tube defects (spina bifida, Anencephaly) in the baby.